The likely metabolic complications of total parenteral nutrition within the first two weeks of therapy would include all of the following   a) Cardiopulmonary failure  b) Hyperosmolar non-ketotic hyperglycaemia  c) Zinc deficiency  d) Hypophosphataemia
1. abd
2. acd
3. abc
4. bcd

Correct answer: 1. abd